Which of the following is drug of choice for CMV retinitis?
1. Acyclovir
2. Tenofovir
3. Ganciclovir
4. Abacavir

Correct answer: 3. Ganciclovir

Explanation: Doc for CMV retinitis - Ganciclovir Other drugs used - Foscarnet, cidofovir Herpes simplex virus (HSV), Varicella zoster virus (VZV) - Acyclovir Anti HIV drugs - Tenofovir, Abacavir Ganciclovir: Activated intracellularly by virus specific thymidine kinase Due to poor oral absorption, bioavailability of ganciclovir is low (<10%) It's prodrug valganciclovir ,which is better absorbed orally, has replaced it for oral therapy Systemic S/E: Bone marrow depression Rash ,fever,vomiting Neuro psychiatric disturbances